All of the following are true about Meig's syndrome except -
1. Seen with ovarian fibroma
2. Pleural effusion and ascites seen in patients with Meig's syndrome
3. Ascites is caused due to lymphatic dysplasia
4. Ascites and pleural effusion does not require treatment.

Correct answer: 3. Ascites is caused due to lymphatic dysplasia

Explanation: Ans.is 'c'i.e., Ascites is caused due to lymphatic dysplasia o Meig's syndrome consists :# Ovarian fibroma# Ascites# Pleural effusion (Usually right sided), can be bilateral also.o Ascites in a case of ovarian fibroma is caused primarily by transudation of fluid from the ovarian fibroma. Hydrothorax develops secondary to flow of ascitic fluid into the pleural space via lymphatics of the diaphragm. Therefore, the cause is not lymphatic dysplasia.o Both ascites and hydrothorax resolve spontaneously after removal of the tumor, therefore no treatment is required primarily for ascites and pleural effusiono Criteria for diagnosing Meigfs syndrome:# Tumor must be ovarian, solid and benign.# Both hydrothorax and ascites must be present.# Removal of the tumor must result in their spontaneous and permanent cure.o Pseudomeig's Syndrome# Ascites and pleural effusion seen with Brenner's tumor or granulosa cell tumor.